ARDS is due to defect in
1. A. Hypoxemia
2. B. Hypotention
3. C. Clara cells
4. D. Endothelial cells

Correct answer: 4. D. Endothelial cells

Explanation: ALI/ARDS is initiated by injury of pneumocytes and pulmonary endothelium. Setting in motion a vicious cycle of increasing inflammation and pulmonary damage